Sudden induced hypermetropia is seen in -
1. Trauma
2. Sudden blood sugar level change in diabetics
3. SLE
4. Rheumatoid arthritis

Correct answer: 2. Sudden blood sugar level change in diabetics

Explanation: Ans. is 'b' i.e. Sudden blood sugar level change in diabetics o The occurrence of transitory refractive changes in diabetic patients has been recognized.o Refractive changes in diabetes are due to alterations in the power of the lens because of osmotic interactions between the lens and aqueous.o Myopia with hyperglycaemia was then explained as being due to osmotic hydration of the lens due to salt retention. Rosen accounted for hyperopia with hyperglycaemia by assuming that hydration must involve the nucleus as well.